Which drug is given in delayed vomiting after chemotherapy -
1. Metoclopramide
2. Hyoscine
3. Domperiodone
4. Aprepitant

Correct answer: 4. Aprepitant

Explanation: Ans. is 'd' i.e., Aprepitant o Cisplatin can induce vomiting within 24 hours or after 2 days. DOC for the early vomiting is ondensetron while for delayed vomiting is aprepitant (substant P antagonist).